Incubation period of gonorrhoea is -
1. Less than 24 hrs
2. 1 to 2 days
3. 2 to 15 days
4. 12 to 25 days

Correct answer: 3. 2 to 15 days

Explanation: Ans. is 'c' i.e., 2 to 15 days Incubation period of gonorrhea is 2 - 8 days.